A chronic alcoholic presents with abdominal pain radiating to the back that responds to analgesics. At evaluation, the pancreatic duct was found to be dilated and stones were noted in the tail of pancreas. The initial management is:
1. Pancreatic tail resection
2. Pancreaticojejunostomy
3. Percutaneous removal of stone
4. Medical management

Correct answer: 4. Medical management

Explanation: Management Pain : Analgesics NSAIDS - Metamizole Opiate - Buprenorphine If pain not relieved by analgesic - perform ERCP with Stone removal or Stenting; If not relieved - Celiac ganglia block If not relieved - Surgical Intervention.